All of the following are features of metoprolol in comparison to propanolol EXCEPT
1. It is ineffective in suppressing muscle tremor
2. It is safer in diabetics
3. It is less likely to cause bradycardia
4. It is less likely to worsen Raynaud's disease

Correct answer: 3. It is less likely to cause bradycardia

Explanation: Metoprolol is a cardio-selective b-blocker and thus is safer than nonselective blockers ( propanolol) in diabetics, asthmatics and the patients of peripheral vascular disease (e.g. Raynaud's disease). Due to lack of b2-blocking action, it cannot suppress muscle tremors. Potential to cause bradycardia is similar to non-selective b-blockers. Drugs possessing ISA (like pindolol) are less likely to cause bradycardia.